Pick's body in pick's disease is:
1. Tau protein
2. Alpha synuclein
3. Beta synuclein
4. A amyloid

Correct answer: 1. Tau protein

Explanation: Answer is A (Tau protein) : Classic Pick's bodies stain positive with silver and tau-Harrison Classification of Neuro degenerative disorders based on the major type of Protein Aggregations (inclusions) Type of Protein Aggregate Tau Protein (Tauopathies) Pick's disease (Pick's bodies) Progressive supranuclear palsy (Tufted Astrocytes) Cortico basal degeneration (Astrocytic plaques) Familial Fronto temporal dementia and Parkinsonism linked to chromosome 17 (FTDP-17) Alpha Synuclein Protein (Synucleinopathies) Sporadic Parkinson's disease (Lewy bodies) Diffuse Lewy body disease (Lewy bodies) Multiple System Atrophy - ShyDrager syndrome - Striatonigral degeneration - Olivopontocerebellar atrophy Facts to Remember : Pick's bodies contain Tau protein Lewy bodies contain a synucleine